Psoralen–A is used in the treatment of :
1. Pemphigus
2. Vitiligo
3. Pityriasis alba
4. Ichthyosis

Correct answer: 2. Vitiligo

Explanation: Psoralens (like trioxsalen and methoxsalen) along with UV-A are used to induce pigmentation in vitiligo.